Staining technique for cryptosporodium:
1. Indian ink
2. Modified acid fast
3. Giemsa
4. Methylene blue

Correct answer: 2. Modified acid fast

Explanation: Ans. B i.e. Modified acid fast Staining of cryptosporidium Traditional parasitology stains (e.g., Giemsa) are of limited value. They do not differentiate between oocysts and similarly-sized fecal yeasts (the main differential diagnosis of Cryptosporidium in microscopy) and other debris. Modified acid-fast staining technique is a simple and effective method: the oocysts stain bright red against a background of blue-green fecal debris and yeasts. The acid-fast staining technique has been modified and improved, including: hot and cold modified acid-fast stains; incorporation of dimethyl sulfoxide (DMSO); and incorporation of the detergent tergitol.